Which of the following antiglaucoma medication is UNSAFE in infants -
1. Timolol
2. Brimonidine
3. Latanoprost
4. Dorzolamide

Correct answer: 2. Brimonidine

Explanation: Brimonidine is absolutely contraindicated in infantsand young children due to its depression of the central nervous system. Ref AK khurana 6/e